Which of the following is used as reference protein in nutrition studies?
1. Egg
2. Fish
3. Milk
4. All of the above

Correct answer: 1. Egg

Explanation: Egg protein is considered the best because of high biological value and easy digestibility. Thus egg is used as reference protein in nutrition studies. Ref: Park 22nd edition, page 564.